Hormone involved in regulation of BP ?
1. Serotonin
2. Angiotensin- II
3. Dopamine
4. Prostaglandin

Correct answer: 2. Angiotensin- II

Explanation: Ans. is 'b' i.e., Angiotensin- II